A 25-year-male, Intermittent Diplopia, Urinary incontinence, VI Nerve palsy. Most likely diagnosis is:
1. Acute infarct
2. Multiple sclerosis
3. Intraparenchymal bleed
4. Alzheimer's disease

Correct answer: 2. Multiple sclerosis

Explanation: Ans. B Multiple sclerosisYoung patient with significant neuro-deficits, involvement of periventricular and pericallosal white matter is classical for MS. On MRI McDonalds criteria is used for diagnosis. Venus necklaceQ/Dawson's fingersQ/Ependymal dot-dash signQ seen.